Chromidial bars are absent in which stage of cysts in Entamoeba?
1. Uninucleate
2. Binucleate
3. Quadra nucleate
4. Octa nucleate

Correct answer: 3. Quadra nucleate

Explanation: In quadri nucleate stage, glycogen mass and chromidial bars are absent in cysts of Entamoeba Ref: Arora.Medical parasitology 4th ed pg. 38